Universal recipients have blood group:
1. A
2. B
3. O
4. AB

Correct answer: 4. AB

Explanation: Ans. D: ABAs AB blood group doesn't have any circulating agglutinins and can receive any type of blood group without developing a transfusion reaction due to ABO in compatibility, they are known as universal recipient.Type 0 individuals are known as universal donor because they lack A and b antigens